Mother to child transmission of HIV:
1. 25%
2. 50%
3. 60%
4. 75%

Correct answer: 1. 25%

Explanation: The transmission of HIV from a HIV-positive mother to her child during pregnancy, labour, delivery or breastfeeding is called mother-to-child transmission. In the absence of any intervention, transmission rates range from 15% to 45%. Rates can be < 5% with effective interventions during the periods of pregnancy, labour, delivery and breastfeeding. These interventions primarily involve antiretroviral treatment for the mother and a short course of antiretroviral drugs for the baby and appropriate breastfeeding practices. The Maximum risk of transmission is during labour.